A screening test was positive in 50% of diseased and 10% of healthy population. What is the specificity of the test?
1. 0.5
2. 0.9
3. 0.83
4. 0.064

Correct answer: 2. 0.9

Explanation: Screening Test Gold Standard Positive Negative Positive 50 10 Negative 50 90 Specificity= True Negative / True Negative + False Positives = 90/90 + 10 = 90/100 = 0.9